False statement about post-dural puncture headache (PDPH):
1. Breech of dura
2. Onset of headache is usually 12-72 hours following procedure
3. Commonly occipito-frontal in location
4. Headache is relieved in sitting/ standing position

Correct answer: 4. Headache is relieved in sitting/ standing position

Explanation: Ans. D: Headache is relieved in sitting/ standing position Post spinal headache usually presents after 12-24 hours (corresponds to time when the patient starts sitting after operation) PDPH: It occurs due to low CSF pressure/CSF leak Last 7-10 days "Sprottee needle/Whitcare needle" reduces risk of PDPH